Glycosylated hemoglobin reflects the mean blood glucose level of previous
1. 15days
2. 1 month
3. 3 months
4. 6 months

Correct answer: 3. 3 months

Explanation: HBA1c :There should be an estimation of glycosylated haemoglobin at half yearly intervals. This test provides a long-term index of glucose control. This test provides a long-term index of glucose control. This test is based on the following rationale: glucose in the blood is complexed to a certain fraction of haemoglobin to an extent proportional to the blood glucose concentration. The percentage of such glycosylated haemoglobin reflects the mean blood glucose levels during the red cell lifetime ( about the previous 2-3months ).Ref: Park; 23rd ed; Pg 396